Total number of refractive surfaces in the Eye is
1. 2
2. 4
3. 5
4. 3

Correct answer: 2. 4

Explanation: There are 4 refractive surfaces in the Eye

Anterior surface of Cornea
Posterior surface of Cornea
Anterior surface of Lens
Posterior surface of Lens